LANCEFIELD grouping of streptococci is done using-
1. M protein
2. Group C peptidoglycan
3. Group C Carbo hydrate antigen
4. Staining properties

Correct answer: 3. Group C Carbo hydrate antigen